An organism grown on agar shows green colored colonies; likely organism is:
1. Staphylococcus
2. E. coli
3. Pseudomonas
4. Peptostreptococcus

Correct answer: 3. Pseudomonas

Explanation: Ans. is 'c' i.e., Pseudomonas(Ref: Ananthanarayan,9th/e, p. 314,319; Harrison, 19th/e, p. 1042, 1070)Pigments (Diffusible) - Pyocyanin - Bluish-green, Pyoverdin - Yellowish-green (Fluoroescin), Pyorubrin - Bright red, Pyomelanin - Brown-black.